Indicated method of wiring in case of symphysis fracture of mandible in adults:
1. Risdon wiring.
2. Ivy eyelet wiring.
3. Gilmers wiring.
4. Essings wiring

Correct answer: 1. Risdon wiring.